Invertor of foot:
1. Gastrocnemius
2. Tibialis posterior
3. Peroneus tertius
4. Peroneus longus

Correct answer: 2. Tibialis posterior

Explanation: Ans. b (Tibialis posterior) (Ref. BDC Vol. II 4th/pg. -156)# Tibialis anterior and Tibialis posterior are principal invertors of foot.# Peroneus longus and Peroneus brevis are principal evertors of foot.TIBIALIS POSTERIOROriginPosterior aspect of interosseous membrane, superior 2/3 of medial posterior surface of fibula, superior aspect of posterior surface of tibia, and from intermuscular and deep transverse septum.Insertion# Splits into two slips after passing inferior to plantar calcaneonavicular ligament# Superficial slip inserts on the tuberosity of the navicular bone and sometimes medial cuneiform.# Deeper slips insert on plantar surfaces of metatarsals 2-4 and second cuneiform.Actions# Principal invertor of foot,0# Adducts foot,# Plantar flexes ankle, and# Helps to supinate the foot.InnervationTibial nerve (L4, L5).Arterial SupplyMuscular branches of sural, peroneal and posterior tibial arteries.